X-rays were discovered by -
1. Godfrey Hounsfield
2. Roentgen
3. Coulomb
4. Sievert

Correct answer: 2. Roentgen

Explanation: X-ray were discovered in 1895 by W.C. Roentgen.